Donepezil is used in the treatment of which of the following conditions -
1. Schizophrenia
2. Depression
3. Anxiety
4. Alzheimer dementia

Correct answer: 4. Alzheimer dementia

Explanation: Ans. is 'd' i.e., Alzheimer disease o Donepezil is a cerebroactive drug. It is used in Alzheimer's disease (AD).